Combined oral contraceptives interfere with action of following drugs except
1. Imipramine
2. Meperidine
3. Metoprotol
4. Metformin

Correct answer: 4. Metformin

Explanation: Combined OCPs do not influence effectiveness of metformin.